Which of the following is primary ketone body?
1. Acetone
2. Acetoacetate
3. Beta hydroxybutyrate
4. All of the above

Correct answer: 2. Acetoacetate

Explanation: Acetoacetate is the primary ketone body, secondary ketone bodies are acetone and beta hydroxybutyrate.